Relative humidity is determined by
1. Kata thermometer
2. Anemometer
3. Sling psychrometer
4. Gardbad apparatus

Correct answer: 3. Sling psychrometer